If curing occurs at temperature more than 100°C
porosity results in which area of denture
1. Hard thick central area
2. Thin Palatal area
3. Thin area of flanges
4. Porosity is uniformly distributed

Correct answer: 1. Hard thick central area